Atropine is useful in organophosphate poisoning because it
1. Reactivates Acetylcholineesterase
2. Competes with acetyl chloline release
3. Binds with both nicotinic and muscarinic acetylcholine receptors
4. Is a competitive antagonist of acetylcholine

Correct answer: 4. Is a competitive antagonist of acetylcholine

Explanation: Atropine acts as an antagonist at muscarinic receptors. It has no activity on nicotinic receptor and do not interfere with the release of ACh Ref-KDT 6/e p106